All of the following are LARC methods except :
1. IUCD
2. DMPA
3. POPs
4. Implanon

Correct answer: 3. POPs

Explanation: Progesterone only pills never gained widespread use because of poor cycle control and an increased pregnancy rate. It is reversible. But its not long acting. It should be administered repeatedly. TEXTBOOK OF GYNECOLOGY SHEILA BALAKRISHNAN SECOND EDITION PAGE NO 370 PARKS TEXTBOOK OF PREVENTIVE AND SOCIAL MEDICINE 23rd EDITION PAGE NO 501